All of the following are true about layers of cornea except :
1. Predescemet's layer is also known sd Dua's layer
2. Type 2 & type 4 type of collagen are present in Descement membrane
3. Corneal Stroma is the thickest layer of the cornea
4. Endothelium is responsible for maintaining relatively dehydrated state of cornea

Correct answer: 2. Type 2 & type 4 type of collagen are present in Descement membrane

Explanation: Descement membrane: toughest layer of cornea Descement's Membrane : *Act as a basement membrane for the endothelial cells *Type 4 & type 8 are most common type of collagen in DM *Toughest layer that provides protection from perforation *Responsible for descemetocele formation. *Site of deposition of copper as KF ring in wilson's disease (. If dua layer is in option then go for that) Endothelium is responsible for behaving like a pump that maintains the relatively dehydrated state of the cornea thereby maintaining its transparency The other options are all true